Incubation period of pertusis is-
1. 1-7 days
2. 7-14 days
3. 15-28 days
4. More than 28 days

Correct answer: 2. 7-14 days

Explanation: Ans. is 'b' 7-14 days [Ref :Park 20/e, p 149 (18/e, p136, 17/e, p130, 16/e,p129))* The I.P.'s of some more diseases which are often asked in various P.G. entrance examinations are :Incubation period of Pertussis = 7-14 days*Incubation period of Diptheria = 2-6 days*Incubation period of Mumps = 2-3 wks usually 18 days*Incubation period of Rubella = 2-3 wks usually 18 days*Incubation period of Measles = 10 days from exposure to onset of fever and 14 days to appearance of rash*.Incubation period of Chickenpox = 14-16 days*.